Critical angle of air corneal interface -
1. 36 degree
2. 46 degree
3. 56 degree
4. 66 degree

Correct answer: 2. 46 degree

Explanation: Criticalangle for the cornea-air interface is approximately 46 degrees. Total internal reflection prevents direct visualization of ang le in nearly all eyes. Ref khurana 6/e